Which of the following intravenous anaesthetic agent pharmacokinetic does not change on renal and hepatic dysfunction -
1. Propofol
2. Thiopentone
3. Etomidate
4. Ketamine

Correct answer: 1. Propofol

Explanation: Propofol is metabolized by liver and kidney mainly. but its metabolism exceeds hepatic blood flow, thus having extrahepatic and renal route as well. in liver and kidney dysfuction its metabolism is not delayed making its use safe.